The most common site of the internal opening of a branchial fistula is at the -
1. Lateral nasopharyngeal wall
2. Fossa of Rosenmuller
3. Gingivo - labial sulcus
4. Tonsillar fossa

Correct answer: 4. Tonsillar fossa

Explanation: Ans. is 'd' i.e., Tonsillar fossa